Most common site of intracranial hemorrhage in hepertensive hemorrhage is
1. Basal ganglia
2. Brainstem
3. Cerebellum
4. Hippocampus

Correct answer: 1. Basal ganglia

Explanation: *The most common site for hypertensive hemorrhage is basal ganglia,cerebellum,thalamus,pons. Ref Harrison20th edition pg 2345